Scrotal cancer is seen in which occupation traditionally:
1. Coal worker
2. Painters
3. Chimney cleaners
4. Spinners of cotton

Correct answer: 3. Chimney cleaners

Explanation: Ans. (c) Chimney cleanersRef Bailey and Love 27th Edition, Page 1511Causes of Scrotal cancer:* Chimney sweepers* Oil and Coal workers* Aromatic cyclic hydrocarbons are cancer causing factorCarcinoma scrotum is totally absent in India and Asians